All of the following acts on GABA receptor except:-
1. Thiopentone
2. Propofol
3. Zolpidem
4. Ketamine

Correct answer: 4. Ketamine

Explanation: Ketamine acts on NMDA receptor. Xenon and nitrous oxide also acts on NMDA receptor. Rest other intravenous and inhalational agents act on GABA receptor.